All of the following polyps are premalignant except
1. Juvenile polyposis syndrome
2. Familial polyposis syndrome
3. Juvenile polyp
4. Peutz jeger syndrome

Correct answer: 3. Juvenile polyp

Explanation: .Juvenile Polyps- * Commonest polyp of colorectum in infants and children. * Can cause intussusception, prolapse through rectum, bleeding. * Colonoscopic polypectomy is done. * Not a pre-malignant condition. ref:SRB's manual of surgery,ed 3,pg no 831